Vitamin B12 deficiency is likely to cause:
1. Bitemporal hemianopia
2. Binasal hemianopia
3. Heteronymous hemianopia
4. Centrocecal scotoma

Correct answer: 4. Centrocecal scotoma

Explanation: D i.e. Cetrocecal scotoma Vitamin B12 deficiency is likely to cause optic neuritis; in which most common field defect is central or centro-caecal scotoma Q